Air–borne contact dermatitis can be diagnosed by –
1. Skin biopsy
2. Patch test
3. Prick test
4. Estimation of serum IgE levels

Correct answer: 2. Patch test

Explanation: Patch testing is the only diagnostic test for diagnosis of contact dermatitis.